Which of the following components is not considered in the definition of Metabolic syndrome?
1. High LDL
2. Low HDL
3. Abdominal obesity
4. Hypertension

Correct answer: 1. High LDL

Explanation: Metabolic syndrome: (syndrome X, insulin resistance syndrome)Increased risk of cardiovascular disease and diabetes mellitusMajor features are:Central obesityHyperiglyceridemiaLow HDL cholesterolHyperglycemiaHypertension(Ref: Harrison's 18/e p1992,17/e p1509-1510)